Which of the following grading methods is used to evaluate the prognosis after subarachnoid hemorrhage:
1. Glasgow Coma Scale
2. Glasgow Blatchford Bleeding Score
3. Intracerebral hemorrhage Score
4. Hess and Hunt Scale

Correct answer: 4. Hess and Hunt Scale